Exogenous adrenaline is metabolished by
1. AchE
2. COMT
3. Decarboxylase
4. Acetyl transferase

Correct answer: 2. COMT

Explanation: Exogenous adrenaline is metabolised by Catechol-O-methyltransferase (COMT) in liver and other tissues. Metabolism does not play an important role in terminating the action of endogenous catecholamines. Ref: Biochemistry by U. Satyanarayana 3rd edition Pgno : 441